Transport of the cholesterol from peripheral tissue to liver is through
1. HDL
2. LDL
3. VLDL
4. Chylomicrons

Correct answer: 1. HDL

Explanation: (HDL): (5/7. U. Satyanarayan4th edition; 243-Lippincott's 6th)HDL particles transport cholesterol from peripheral tissues to the liver (reverse cholesterol transport)Concept map for cholesterol and the lipoproteins. HMG CoA = hydroxymethylglutaryl coenzyme A; SREBP = sterol regulatory element-binding protein; HDL = high-density lipoprotein; VLDL = very-low-density lipoprotein; LDL = low- density lipoprotein; TAG = triacylglycerol; NADP(H) = nicotinamide adenine dinucleotide phosphate.